Type I and type II zinc oxide impression paste
differ with respect to
1. Their use
2. Their hardness after setting
3. Water content
4. Eugenol content

Correct answer: 2. Their hardness after setting